All are included in Biophysical profile and Manning's score EXCEPT:
1. Respiratory movement
2. Fetal movement
3. Non-stress test
4. Vibroacoustic stimulation reflex

Correct answer: 4. Vibroacoustic stimulation reflex

Explanation: Ans. d (Vibroacoustic stimulation reflex). (Ref. Dutta, Obstetrics, 6th ed., p 109, 464)BIOPHYSICAL PROFILE (MANNING SCORE)# The BPP measures fetal heart rate, muscle tone, movement, breathing, and the amount of amniotic fluid around fetus.# A BPP is commonly done in the last trimester of pregnancy.# If patient has a high-risk pregnancy, a BPP may be done by 32 to 34 weeks or earlier.# Its 5 components are:0- Non-stress test (NST)- Fetal breathing movements (at least 1 episode within 30 min lasting for > 30 seconds).- Fetal tone (> 1 episode of limb extension with return to flexion within 30 seconds.)- Gross fetal movements (at least 3 discrete GFM with in 30 minutes).- Amniotic fluid volume (> 1 large pocket more than 1 cm vertical diameter).# Score - In absence of oligohydramnios:- Normal score = 8-10,- Equivocal = 6 and- Abnormal = < 4.Fetal heart rate in "sinusoidal pattern" is seen inFetal heart rate in "saltatory pattern" is seen ina) Rh isoimmunizationb) Normal fetusc) Drugs-alphaprodine.a) Acid-base imbalanceb) Labourc) Acute brief hypoxia in fetusd) Depressed fetus with low AP6AR.